The efferent limb of the cremaster reflex is provided by
1. Femoral branch of the genitofemoral
2. Genital branch of the genitofemoral nerve
3. Ilioinguinal nerve
4. Pudendal nerve

Correct answer: 2. Genital branch of the genitofemoral nerve

Explanation: -        Cremastric reflex- 

Afferent- Femoral branch of genitofemoral nerve
Efferent- Genital branch of genitofemoral nerve